In bitewing radiographs, occlusal pit caries of enamel
appears as a
1. Circular radiolucent area
2. Triangular radiolucent area with its base towards the dentino-enamel junction
3. Triangular radiolucent area with its base towards the surface
4. Vertical radiolucent line

Correct answer: 2. Triangular radiolucent area with its base towards the dentino-enamel junction